Mucinous ascites is seen in -
1. Stomach Ca
2. TB
3. Nephrotic syndrome
4. Cirrhosis

Correct answer: 1. Stomach Ca

Explanation: Answer is 'a' i.e. Stomach Ca